Ocular manifestation of HIV are:
1. Predispose to viral, bacterial & fungal function
2. Kaposi sarcoma
3. CMV retinitis
4. All

Correct answer: 4. All

Explanation: All